True about blood flow in various organs
1. Liver > Kidney > Brain > Heart
2. Liver > Brain > Kidney > Heart
3. Kidney > Brain > Heart > Liver
4. Liver > Heart > Brain > Kidney

Correct answer: 1. Liver > Kidney > Brain > Heart

Explanation: Total blood flow through various organs (whole organ)

Liver - 1500ml/min - 27.8% of cardiac output
Kidney - 1260ml/min - 23.3% of cardiac output
Skeletal muscle - 840ml/min - 15.6% of cardiac output
Brain - 750ml/min - 13.9% of cardiac output
Skin - 462ml/min - 8.6% of cardiac output
Heart - 250ml/min - 4.7% of cardiac output

Blood flow per unit mass in decreasing order –ml/100gm/min (Highest to lowest)

Kidney
Heart
Liver
Brain
Skin
Skeletal muscle